The current imaging technique of choice for the diagnosis of hydatidiform mole is :
1. Computed tomography
2. Ultrasonography
3. Plain X-ray abdomen
4. Magneic resonance imaging

Correct answer: 2. Ultrasonography

Explanation: Ultrasonography